Factors responsible for cardiovascular effects of non depolarizing neuromuscular blockers:-
1. Histamine release
2. Effects mediated by autonomic nicotinic cholinergic receptors
3. Pancuronium produced a profound vagolytic response
4. All of the above

Correct answer: 4. All of the above

Explanation: All benzylisoquinoline except cisatracurium causes histamine release - | BP | HR - CVS Effects mediated by autonomic nicotinic Cholinergic receptor ex. Pancuronium (vagal blockade) | BP | HR Pancuronium produced a profound vagolytic response characterized by tachycardia, reduction in heart rate variability and baroreflex sensitivity .